All are TRUE regarding health planning, except -
1. Resiource planning and implementation
2. Eliminating wasteful expenditure
3. Creating demands for needs
4. To develop best course of action for best results

Correct answer: 3. Creating demands for needs

Explanation: Steps of health planning analysis of health situation Establishment of objectives and goal Assessment of resources Fixing priorities Write up formulated plan Programming and implementation Monitoring Evaluation (refer pgno: 870 park 23 rd edition)